Atypical lymphocytes in infectious mononucleosis are made up of -
1. CD4+ T cells
2. CD8+ T cells
3. Plasma cells
4. NK Cells

Correct answer: 2. CD8+ T cells

Explanation: . CD8+ T cells